Popcorn calcification is characteristically seen in –
1. TB
2. Metastasis
3. Pulmonary hamartoma
4. Fungal invagination

Correct answer: 3. Pulmonary hamartoma

Explanation: Popcorn calcification is characteristic of hamartoma.